Watery diarrhea in children is caused by -
1. EHEC
2. EPEC
3. EIEC
4. EAEC

Correct answer: 2. EPEC